The drug not used for analgesia in a patient of head injury is:
1. Morphine
2. NSAIDs
3. Rofecoxib
4. Acetaminophen

Correct answer: 1. Morphine

Explanation: Ref: KDT 6/e p457 Morphine is contra-indicated in a patient with headband injury. Relative contraindications to morphine include: respiratory depression when appropriate equipment is not available Although it has previously been thought that morphine was contraindicated in acute pancreatitis, a review of the literature shows no evidence for this